Quinsy is
1. Pertonsillar abscess
2. Infratemparal space infection
3. Para Pharyngeal space infection
4. Lateral pharyngeal space infection

Correct answer: 1. Pertonsillar abscess